The property of rubber dam that it controls moisture and retracts the soft tissue, best explained in
1. Access and Visibility.
2. Improved properties of dental materials.
3. Protection of the patient and operator.
4. Operating efficiency.

Correct answer: 1. Access and Visibility.